Pneumothorax could be a complication of –
1. Staphylococcal pneumonia
2. Pneumococcal pneumonia
3. Klebsiella pneumonia
4. Viral pneumonia

Correct answer: 1. Staphylococcal pneumonia

Explanation: Staphylococcal pneumonia is the most common cause of (amongst all pneumonia)

Purulent pericarditis
Pneumatoceles
Pneumothorax
Lung abscess
Empyema
Other organisms commonly causing empyma → Streptococcus pyogenes, Pneumococci